Which of the following statements is false regarding Bohr effect?
1. It is the reciprocal coupling of proton and O2
2. It depends on the cooperative interactions between the hemes of the hemoglobin tetramer
3. It is also exhibited with myoglobin
4. Protons responsible for the effect arise from rupture of salt bridges

Correct answer: 3. It is also exhibited with myoglobin

Explanation: In addition to transporting O2 from the lungs to peripheral tissues, hemoglobin transports CO2 , the byproduct of respiration, and protons from peripheral tissues to the lungs. This reciprocal coupling of proton and O2 binding is termed the Bohr effect. The Bohr effect is dependent upon cooperative interactions between the hemes of the hemoglobin tetramer. By contrast, the monomeric structure of myoglobin precludes it from exhibiting the Bohr effect. Protons responsible for the Bohr effect arise from rupture of salt bridges during the binding of O2 to T-state hemoglobin.
Ref: Harper’s illustrated biochemistry. 30th edition page no: 56